Virus causing oropharyngeal carcinoma ?
1. EBV
2. HPV
3. HHV-8
4. HTLV

Correct answer: 2. HPV

Explanation: Ans. is 'b' i.e., HPV